Which of the following is poor prognostic factor in a child with ALL ?
1. Age 2–8 yrs
2. Total leucocyte count < 50,000
3. t (9; 22); t (4;11); t (1;19)
4. Absent blasts in peripheral smear

Correct answer: 3. t (9; 22); t (4;11); t (1;19)